Which of the pharyngeal pouch contributes to the thymus?
1. The second pharyngeal pouch
2. The first pharyngeal pouch
3. The third pharyngeal pouch
4. The fifth pharyngeal pouch

Correct answer: 3. The third pharyngeal pouch

Explanation: The elongate ventral portions of the third pair of pharyngeal pouches migrate medially and fuse to form the primordium of the thymus gland. Development of the thymus is not complete at birth; it contains to grow and reaches its greatest size at puberty, after which it gradually shrinks and its functional tissue is replaced by a fatty tissue. Ref: Ochs H.D., Notarangelo L.D. (2010). Chapter 82. Immunodeficiency Diseases. In J.T. Prchal, K. Kaushansky, M.A. Lichtman, T.J. Kipps, U. Seligsohn (Eds),Williams Hematology, 8e.